All of the following genetic syndromes are associated with Acute Myeloid Leukemia, except:
1. Down's Syndrome
2. Klinefelter's Syndrome
3. Patau Syndrome
4. Turner's Syndrome

Correct answer: 4. Turner's Syndrome

Explanation: Of all the options given Turner's syndrome is not found to be associated with increased incidence of acute myeloid leukemia (AML). Down's syndrome, Klinefelter's Syndrome, Patau Syndrome are associated with AML. Ref: Harrison's Principles of Internal Medicine16th Edition, Page 631; Excellent Care for Cancer Survivors: A Guide to Fully Meet Their Needs By Kenneth Miller - Pg 327; Childhood Leukemia: A Practical Handbook, By Gregory H. Reaman - Pg 11